The low grade non-Hodgkins lymphoma is -
1. Follicular
2. Large cell
3. Diffuse large cell
4. Lymphoblastic

Correct answer: 1. Follicular

Explanation: The follicular lymphoma is more common ,has infrequent mitoses and the rate of growth slow. So, it is known as low grade non Hodgkin's lymphoma. While the patients with large cell lymphoma have high proliferation and progress rapidly .so ,it is known as high grade non hodgkin's lymphoma. Reference :textbook of Pathology, 7th edition ,author Harsh Mohan ,page number 356